Alcoholic hyaline, in alcoholic liver disease is composed of-
1. Lipofuscin
2. Eosinophilic intracytoplasmic inclusions
3. Basophilic intracytoplasmic inclusions
4. Hemozoin

Correct answer: 2. Eosinophilic intracytoplasmic inclusions

Explanation: Ans. is 'b' i.e., Eosinophilic intracytoplasmic inclusions